In maturity onset diabetes mellitus, screening for diabetic retinopathy should be done at:
1. Immediately
2. After 5 years
3. After 10 years
4. After 15 years

Correct answer: 1. Immediately

Explanation: Screening for diabetic retinopathy should be performed within 3 years from diagnosis in type I diabetes, on diagnosis in type II diabetes, and annually thereafter in both types. Digital fundal photography has been proven to be an effective and sensitive method for screening. Seven-field photography is the gold standard, but two 45deg fields, one centered on the macula and the other centered on the disk, are becoming the method of choice in most screening programs. Ref: Fletcher E.C., Chong N., Augsburger J.J., Correa Z.M. (2011). Chapter 10. Retina. In P. Riordan-Eva, E.T. Cunningham, Jr. (Eds), Vaughan & Asbury's General Ophthalmology, 18e.